Which of the following procedures is used as a routine technique in karyotyping using light microscopy?
1. G banding
2. C banding
3. Q banding
4. Brd V-staining

Correct answer: 1. G banding